Treatment of Acute lymphangitis requires
1. Antibiotics and rest
2. Immediate multiple incisions
3. Immediate lymphangiography
4. No special treatment

Correct answer: 1. Antibiotics and rest

Explanation: Ref : bailey and love 25e p945